Flash process for pasteurisation of milk is
1. 630C for 15-20sec
2. 720C for 15-20sec
3. 630C for 30minutes
4. 720C for 30min

Correct answer: 2. 720C for 15-20sec

Explanation: For pasteurization of milk with temperatures below 100oC: The milk is heated at either 63oC for 30minutes or 72oC for 15-20seconds followed by cooling quickly to 13oC or lower.By these processes, all non-sporing pathogens such as mycobacteria and salmonella are destroyedRef: Ananthanarayan; 7th edition; Page no: 26